In the treatment of congenital adrenal hyperplasia due to lack of 21 b-hydroxylase, the purpose of administration of a synthetic glucocortocoid is:
1. Inhibition of aldosterone synthesis
2. Prevention of hypoglycemia
3. Recovery of normal immune function
4. Suppression of ACTH secretion

Correct answer: 4. Suppression of ACTH secretion

Explanation: In congenital adrenal hyperplasia, Due to decreased formation of steroids--> decreased feedback inhibition of ACTH. Thus more ACTH is formed which leads to adrenal hyperplasia-->exogenous steroids are given to suppress ACTH secretion.